UNILATERAL proptosis with BILATERAL sixth nerve palsy
1. cavernous sinus thrombosis
2. thyroid ophthalmopathy
3. Retinoblastoma
4. Orbital psuedotumour

Correct answer: 1. cavernous sinus thrombosis

Explanation: IN CAVERNOUS SINUS THROMBOSIS : Abduscent Nerve has high chance of being affected ref : ak khurana 7th ed